The gene suppresses apoptosis is
1. BCL - 2
2. BAK
3. BAX
4. BAD

Correct answer: 1. BCL - 2

Explanation: Atni apoptotic Genes: BCL-2, BCL-XL, and MCL-1. Pro apoptotic Genes: BAX and BAK. Sensors: BAD, BIM, BID, Puma and Noxa.